Which of the following is not a feature of red infarction?
1. Venous occlusion
2. Occurs in organs having dual circulation
3. Occurs in solid organs
4. Occurs in previously congested tissues

Correct answer: 3. Occurs in solid organs

Explanation: Ans. C: Occurs in solid organsRed infarctions (hemorrhagic infarcts), generally affect the lungs or other loose organs (testis, ovary, small intestines). The occlusion consists more of red blood cells and fibrin strands.Characteristics of red infarcts include: occlusion of a vein; loose tissues that allow blood to collect in the infarcted zone; tissues with a dual circulatory system (lung, small intestines); tissues previously congested from sluggish venous outflow; and reperfusion (injury) of previously ischemic tissue that is associated with reperfusion-related diseases such as - Myocardial infarction, stroke (cerebral infarction), shock-resuscitation, replantation surgery, frostbite, burns and organ transplantation.